Long bevel envolves:
1. Entire enamel.
2. Entire enamel and dentine.
3. Entire enamel and half dentin.
4. Usually not recommended.

Correct answer: 3. Entire enamel and half dentin.